Correlation between Hight and weight is best depicted by
1. Histogram
2. Ogive
3. Line chart
4. Scatter diagram

Correct answer: 4. Scatter diagram

Explanation: Scatter diagram also known as co - relarion diagram.
Correction is best depicted by scatter diagram.